Which of the following represent a simple bacterial test for mutagenic carcinogens?
1. Ames test
2. Redox test
3. Bacteriophage
4. Gene splicing

Correct answer: 1. Ames test

Explanation: Ames Test was developed by Bruce Ames. It measures the potential of chemical compounds to promote mutation in specialized bacterial strain. It is the most common test to determine potential of a carcinogen. It determines ability of chemical compounds to induce mutation in bacterium salmonella typhimurium. Normally salmonella typhimurium cannot grow in medium lacking histidine. Ref: Robbins Pathologic Basis of Disease, 6th Edition, Pages 307-8 ; Lehringer Principles of Biochemistry, 4th Edition Page 967